Which of the following can carry larger genome ?
1. Plasmids
2. BAC
3. YAC
4. Cosmids

Correct answer: 3. YAC

Explanation: Ans. is 'c' i.e., YAC Vector DNA insert sizePlasmid 0.01-10 kbPhage 10-20 kbCosmid 35-50 kbBAC, PAC 50-250 kbYAC 500-3000 kb